Kaposi sarcoma is caused by?
1. Human herpes virus-2
2. Human herpes virus-4
3. Human herpes virus-6
4. Human herpes virus-8

Correct answer: 4. Human herpes virus-8

Explanation: kaposi's sarcoma caused by HHV 8 REF:ANATHANARAYAN AND PANIKER'S TEXTBOOK OF MICROBIOLOGY 8TH EDITION PAGE NO:477